Longest acting insulin
1. Degludec
2. Aspart
3. Regular insulin
4. Glargine insulin

Correct answer: 1. Degludec

Explanation: Degludec is the longest acting insulin.it acts for 42hrs so it can be given even once every alternate day. Other long-acting which acts for 24 hrs is glargine, detemir. They are insulin analogues. Ref: KD Tripathi 8th ed.